Which of the following drugs require dose adjustment in renal failure
1. Cefoperazone
2. Doxycycline
3. Streptomycin
4. Rifamipicin

Correct answer: 3. Streptomycin

Explanation: Ref Katzung 10/r p 835 Streptomycin is an aminoglycoside and require dose adjustment in renal failure whereas Doxycycline, Rifampicin and cefoperazone are secreted in bile and do not require dose adjustment in renal failure